A 42-year-old woman who has had six children develops a weakness of the urogenital diaphragm. Paralysis of which of the following muscles would cause such a symptom
1. Sphincter urethrae
2. Coccygeus
3. Superficial transversus perinei
4. Levator ani

Correct answer: 1. Sphincter urethrae

Explanation: The urogenital diaphragm consists of the sphincter urethrae and deep transverse perineal muscles. Weakness of the muscles, ligaments, and fasciae of the pelvic floor, such as the pelvic diaphragm, urogenital diaphragm, and cardinal (transverse cervical) ligaments, occurs as a result of multiple child delivery, advancing age, and menopause. The pelvic diaphragm is composed of the levator ani and coccygeus muscles.